The anion gap in a healthy indiviual is around ___.
1. 5 mEq/L
2. 15 mEq/L
3. 20 mEq/L
4. 25 mEq/L

Correct answer: 2. 15 mEq/L

Explanation: Anion Gap:

The total concentration of cation and anions in the body fluids expressed as mEq/L.
This is required to maintain electrical neutrality.
The commonly measured electrolytes in the plasma are Na+, K+, Cl- and HCO3-
Sodium and potassium together accounts for 85% of the cations, whereas chloride and bicarbonate account for 86% of the anions.
Hence, there is always a difference between the measured cations and anions.
It is due to the presence of protein, anions, sulphates, phosphates.
Anion gap is defined as the difference in between the total concentration of measured cation (Na+ and K+) and that of measured anion (Cl- and HCO3-).

NA+ + K+ = Cl- + HCO3-+ A-
136 + 4 = 100 + 25 + A-
A- = 15 mEq/L.
 
The anion gap in a healthy individual is around 15 mEq/L (range of 8-18 mEq/L)